Which of the following is not a cholinergic agent
1. Galantamine
2. Donepezil
3. Tacrine
4. Piracetam

Correct answer: 4. Piracetam

Explanation: Ref: HL sharma 3rd ed pg no: 545 Piracetam, aniracetam are nootropic agents(smart drugs) used in Alzheimer's remaining drugs increase cholinergic activity in Alzheimer's